Truner syndrome is associated with ?
1. Coarctation of aorta
2. Aortic dissection
3. Aortic regurgitation
4. Pulmonic stenosis

Correct answer: 1. Coarctation of aorta

Explanation: Ans. is 'a' i.e., Coarctation of aorta Most common cardiac anomaly associated with Turner's syndrome is bicuspid aortic valve. Aortic coarctation (20%) aortic stenosis mitral valve prolapse, and Anomalous pulmonary venous drainage.